According to FAB classification, the minimum blast cells for diagnosis of AML are
1. 20
2. 30
3. 10
4. 40

Correct answer: 2. 30

Explanation: (30): (362- Harsh mohan 6th edition)* According to revised FAB classification system a leukaemia is acute if the bone marrow consist of more than 30% blasts* WHO classification for AML has revised and lowered the cut of percentage of marrow blasts to 20% from 30% in the FAB classification for making the diagnosis of AML